Bilateral recurrent laryngeal nerve palsy is seen in all except
1. Thyroid carcinoma
2. Lymphadenopathy
3. Thyroid surgery
4. Aortic aneurysm

Correct answer: 4. Aortic aneurysm

Explanation: Thyroid surgery, Carcinoma thyroid, Cancer of cervix, oesophagus and Cervical lymphadenopathy are the causes of Bilateral recurrent laryngeal nerve paralysis Ref: PL Dhingra Textbook of Ear, Nose and Throat, Edition 6, page - 299